Most common tumour due to radiation arises from -
1. Lung
2. Liver
3. Bone marrow
4. Breast

Correct answer: 3. Bone marrow

Explanation: Hematological malignancies e.g., leukemias are the most common radiation induced cancers.